Premotor area corresponds to:
1. Area 6
2. Area 7
3. Area 8
4. Area 12

Correct answer: 1. Area 6

Explanation: Immediately in front of the primary motor cortex lies Brodmann's area 6. Area 6 extends onto the medial surface, where it becomes contiguous with area 24 in the cingulate gyrus, anterior and inferior to the paracentral lobule. A number of functional motor areas are contained within this cortical region. Lateral area 6, the area over most of the lateral surface of the hemisphere, corresponds to the premotor cortex. Ref: Gray's anatomy 40th edition, Chapter 21